An 11-month-old child presents with complaints of respiratory distress. On examination there is bilateral crepitation and wheezing. Which of the following is the most likely cause?
1. Pneumonia
2. Adenovirus
3. RSV
4. Rhinovirus

Correct answer: 3. RSV

Explanation: c. RSV(Ref: Nelson's 20/e p 2044-2047, Ghai 8/e p 381-382)The clinical features are suggestive of Acute Bronchiolitis, for which the most common causative agent is RSV.